Which of the following ophthalmological anomaly is seen in WAGR syndrome
1. Lens coloboma
2. Retinitis pigmentosa
3. Aniridia
4. Trabeculodysgenesis

Correct answer: 3. Aniridia

Explanation: Some important syndromes and their associations to be remembered Down's syndrome: Congenital cataract Rubella Syndrome : Congenital Cataract WAGR Syndrome: Aniridia Gillepsie syndrome: Aniridia FRASER Syndrome: Cryptophthalmos Marfan's syndrome: Subluxation of lens Patau Syndrome: PHPV